Samitz sign in nails is characteristically seen in
1. Tuberous scelrosis
2. Lupus erythematosus
3. Dermatomyositis
4. Neurofibromatosis

Correct answer: 3. Dermatomyositis

Explanation: Summit sign -Dystrophic and ragged cuticle in nails. seen in dermatomyositis. The other signs seen are: Shawl sign:- violaceous erythema extending from dorsolateral aspect of hands, forearms, and arms to shoulders and neck. Gottron's papules- violaceous papules on the bony prominences of the hands. Gottron's sign- presence of symmetrical macular erythema violaceous erythema on the dorsal aspect of interphalangeal joints of the hands, olecranon process, patella and medial malleoli. Heliotrope rash- periorbital confluent macular violaceous erythema. Periungual telangiectasia Calcinosis cutis Ref Harrison 20th edition pg 1278